Aconite poisoning causes all, EXCEPT:
1. Hypersalivation
2. Tingling and numbness
3. Increased BP
4. Chest pain

Correct answer: 3. Increased BP

Explanation: Aconite poisoning is characterized by hypotension and hypertension. Tingling, numbness, hypersalivation and chest pain is usually seen in all cases of aconite poisoning. The aconite leaves when rubbed or handled on the skin, produces tingling and numbness. The eyes on exposed to pollen, becomes painful and swollen. It gives rise to gastro-intestinal symptoms like burning sensation of the mouth and stomach, nausea, vomiting, diarrhea and tingling sensation of the mouth, tongue and pharynx. The tingling and numbness then progresses all over the body. The general symptoms include pallor, giddiness, profuse sweating, headache and weakness. The neurological symptoms are dimness of vision, diplopia and hallucinations. The cardiovascular symptoms are hypotension, cardiac arrhythmia and AV block. Death occurs from paralysis of the cardiac centre and respiratory centre. Ref: The Essentials of Forensic Medicine and Toxicology By Dr. K. S. Narayan Reddy, 27th Edition, Pages 551-552.